Fournier's gangrene occurs in the
1. Toes
2. Scrotum
3. Fingers
4. Muscles

Correct answer: 2. Scrotum

Explanation: See Idiopathic scrotal gangrene.